Atropine is substituted by phenylephrine to facilitate fundus examination when:
1. Mydriasis is required without cycloplegia
2. Cycloplegia is required
3. Mydriasis and cycloplegia both are required
4. Cycloplegia and Mydriasis both are not required

Correct answer: 1. Mydriasis is required without cycloplegia